Erythema nodosum is seen in all of the following except -
1. Pregnancy
2. Tuberculosis
3. IMN
4. Chronic pancreatitis

Correct answer: 4. Chronic pancreatitis

Explanation: Erythema nodosum Reaction pattern to various antigenic stimuli. Commonest variety of panniculitis Most common-females Age-20-30 years Causes: Infection Bacterial: streptococcal, tuberculosis,yeersiniaa,mycoplasma,LGV, salmonella, campylobacter Fungal : histoplasmosis, blastomycosis, coccidoidomycosis Parasitic: toxoplasmosis Viral: hepatitis B Drugs: sulfonanides,bromide, iodide,sulfonyl ureas, OC pills, penicillin,gold Malignancies: AML,Hodgkin and non-Hodgkin Sarcoidosis Ulcerative colitis and Crohn's disease,pregnancy,connective tissue disease. Clinical features Erythematous warm painful nodules 1-5cm slightly elevated Most common sites: bilaterally lower extremities-"shins", calves, thighs Erythematous,bluish lesions don't ulcerate but heal with hyperpigmentation Associated feature most common arthralgias of knees ankles Lofgren syndrome: fever, hilar adenopathy, arthritis and uveitis with erythema nodosum in sarcoidosis. Histopathology: septal panniculitis Treatment Treat the underlying cause NSAIDS IADVL textbook of dermatology page 1204